Which organelle is involved in the case of sphinghomyelin deficiency:
1. Lysosome
2. Nucleus
3. Mitochondria
4. Cell membrane

Correct answer: 1. Lysosome

Explanation: Ans. (a) LysosomeRef: Harper's Biochemistry, 30th ed. pg. 251* Sphinghomyelin is a major neural tissue component, the core structure of which is formed by ceramide.* It is the only sphingholipid without sugar.* The common sphinghomyelin deficiency is Neiman-Pick disease. The organelle which is involved is the lysosomes which allow accumulation of sphinghomyelin.* Signs & symptoms of Niemen pick's: Hepatosplenomegaly, decreased appetite, unsteady gait, ataxia, slurring of speech (due to accumulation of sphingholipids in neural tissue).